A man had Egg omelet 1-4 hours back and developed diarrhea, vomiting and abdominal cramps. Most likely cause of poisoning is
1. Staphylocoocus
2. Salmonella
3. Bacillus cereus
4. Clostridium

Correct answer: 1. Staphylocoocus

Explanation: Bacterium Typical food Disease Staphylococcus Custard-filled pastries; Potato, egg, tuna or fish salads Food poisoning especially vomiting Bacillus cereus Reheated rice Diarrhea Clostridium perfringens Cooked meat, stew and gravy Diarrhea E.coli Various food and water Diarrhea E.coli Undercooked meat Hemorrhagic colitis Salmonella enteritidis Poultry, meats, and eggs Diarrhea Shigella species Various foods and water Diarrhea Vibrio cholera Seafood and water Diarrhea Vibrio parahemolyticus Seafood Diarrhea Campylobacter jejuni Various foods Diarrhea Yersinia enterocolitica Various foods Diarrhea Ref : Ananthanarayana textbook of Microbiology 9th edition Pgno : 201